Patterns of Inter-relationships between persons in a society is ?
1. Social structure
2. Social psychology
3. Herd structure
4. Social science

Correct answer: 1. Social structure

Explanation: Ans. is 'a' i.e., Social structure Patterns of inter-relationships between persons in a society is called social structure. Note - Study of human inter-relationship is called sociology.